The following congenital heart diseases are associated with cynosis except
1. Complete transposition of the great arteries
2. Single ventricle with or without pulmonic stenosis
3. Hypoplastic left heart
4. Atrial septal defect with mitral stenosis

Correct answer: 4. Atrial septal defect with mitral stenosis

Explanation: ASD is an a cyanotic heart disease. Ghai essential of pediatrics, eighth edition, p.no: 413